18 year female (visual below) with the hypopigmented patch in both ankle what is not used for treatment
1. Topical clobetasol
2. Topical tretinoin
3. Topical tacrolimus
4. Topical methoxasalen

Correct answer: 2. Topical tretinoin

Explanation: The image shows vitiligo treatment options include topical corticosteroids Topical calcineurin inhibitors such as tacrolimus are also used Treatment with systemic psoralen photochemotherapy is also effective No use of tretinoin Ref Harrison 20th edition pg 1267